Fracture mandible occurs most common in ?
1. Body
2. Angle
3. Condylar process
4. Coronoid process

Correct answer: 3. Condylar process

Explanation: Ans. is 'c' i.e., Condylar process Condylar process fractures of the mandible are most common account for 35% of all the fractures of mandible. They are followed by angle, body and symphysis in decreasing order of frequency. Mnemonic CABS: condylar process >angle >body >symphysis decreasing order of frequency of fracture mandible.